Stocker's line is seen in-
1. Pterygium
2. Glaucoma
3. Posteriorscleritis
4. Diabetic retinopathy

Correct answer: 1. Pterygium

Explanation: Ans. is 'a' i.e., Pterygium o Stocker's line is line of iron deposition in the corneal epithelium seen adjacent to the head of the pterygium.Pigmentorv glaucomao It is a type of secondary open angle glaucoma where in clogging up of trabecular meshwork occurs by the pigment particles.o The condition typically occurs in young myopic males.o The characteristic feature is the deposition of pigment granules in the anterior segment structures such as iris, posterior surface of the cornea (Krukenberg's spindle), trabecular meshwork, ciliary zonules and the crystalline lens,o Gonioscopy shows pigment accumulation along the schwalbe's line especially inferiorly (Sampalesi's line),o Iris transillumination shows radial slit-like transillumination defects in the mid periphery (pathognomonicfeature),o Treatment is as for primary open angle glaucoma.